Cauliflower ear seen in:
1. Hematoma of the auricle
2. Carcinoma of the auricle
3. Fungal infection of the auricle
4. Congenital deformity

Correct answer: 1. Hematoma of the auricle

Explanation: Cauliflower ear (boxer's ear, wrestler's ear) is an acquired deformity of the outer ear. In this injury, the ear can shrivel up and fold in on itself and appear pale, giving it a cauliflower-like appearance, hence the term cauliflower ear. Wrestlers, boxers and martial artists in particular are susceptible to this type of injury. When the ear is struck and a blood clot develops under the skin, or the skin is sheared from the cartilage, the connection of the skin to the cartilage is disrupted.